Severity of Aortic stenosis is determined by ?a) Late ejection systolic murmurb) ST –T changesc) LV Hypertrophy with displaced apexd)  None
1. ac
2. ab
3. ad
4. bc

Correct answer: 2. ab